all the following about xanthogranulomatous pyelonephritis are true except
1. On cut section yellowish nodules are seen
2. Associated with tuberculosis
3. Foam cells are seen
4. Giant cells are seen

Correct answer: 2. Associated with tuberculosis

Explanation: As discussed in text ,xanthogranulomatous pyelonephritis is associated with E.coli Proteus metabolism, pseudomonas, streptococcal faecalis, and klebshiella Refer robbins 8/943